Which of the following is the most penetration beam
1. Electron beam
2. 8 MeV Photons
3. 18 MeV Photons
4. Proton beam

Correct answer: 3. 18 MeV Photons

Explanation: Penetration power of photons depends on the kinetic energy. higher the kinetic energy of the photon beam,higher will be the penetration power. kVp determines the penetrating power of Xrays.